First step in control of cholera epidemic -
1. ORS therapy
2. Provision of safe water
3. Verification of diagnosis
4. Chemoprophylaxis

Correct answer: 3. Verification of diagnosis

Explanation: Ans. is 'c' i.e., Verification of diagnosis First stem in control of any epidemic is verification of diagnosis.There are following steps in the investigation of an epidemic :Verification of diagnosis : This is the first step in investigation of an epidemic.Confirmation of existence of an epidemic : By comparing with disease frequencies during same period in previous years.Defining the population at risk.Rapid search for all cases and their characteristics : Search for new cases is carried out everyday, till the area is declared free of epidemic; this period is usually taken as "twice the incubation period of the disease since the occurance of last case".Data analysis.Formulation of hypothesis.Testing of hypothesis.Evaluation of ecological factors.Further investigation of population at risk.Writing the report.